Kidney transplant from a mother to son is known as
1. Autograft
2. Allograft
3. Heterograft
4. Xenograft

Correct answer: 2. Allograft

Explanation: Autograft - transplant from the same person.
Isograft - transplant from twins.
Allograft - transplant from same species.